A child speaks sentences at the age of ?
1. 6 months
2. 1 year
3. 18 months
4. 2 years

Correct answer: 4. 2 years

Explanation: At 2 years, a child can make simple sentences and uses pronouns.